β2 selective agonists are often effective in:
1. Angina due to coronary insufficiency
2. Asthma
3. Delayed labour
4. All the above

Correct answer: 2. Asthma